Which of the following liners when exposed to oral fluids result in diminishment of their antimicrobial effectiveness?
1. MTA
2. Calcium hydroxide
3. Both
4. None

Correct answer: 3. Both

Explanation: MTA and calcium hydroxide undergo a transformation of hydroxide to calcium carbonate from exposure to carbon dioxide in the blood and oral fluids, causing their antimicrobial effectiveness to diminish.